The function of copper added to 2nd generation amalgam is to:
1. Increase plasticity
2. Increase strength
3. Decrease hardness
4. Increase brittleness

Correct answer: 2. Increase strength

Explanation: Copper was added up to 4% to decrease plasticity and to increase the hardness and strength of the alloy.
Reference: Marzouk Operative dentistry, pg-106